Which of the following is known as 'the medical discovery of 20th century'?
1. Zidovudine
2. Smallpox vaccine
3. ORS
4. Penicillin

Correct answer: 3. ORS

Explanation: Oral Rehydration Therapy (ORT), a cheap and effective way to tackle mortality from diarrohea Hence, it is 'The medical discovery of the century' composition of Reduced Osmolarity ORS - Na+ 75 mmol /L K+ 20 mmol /L Cl- 65 mmol/L Citrate 10 mmol/L Glucose 75 mmol/L Total 245 mmol/L